Pulmonary fibrosis is seen with :
1. Bleomycin
2. Cisplatin
3. Methotrexate
4. Actinomycin D

Correct answer: 1. Bleomycin

Explanation: Bleomycin is a marrow sparing drug but it causes pulmonary fibrosis and skin toxicity as adverse effects. Another anticancer drug causing pulmonary fibrosis is busulfan.